Which of the following set is termed as epidemiological triad:
1. Endemic, epidemic and outbreaks
2. Agent, host and environment
3. Incidence, prevalence and disease load
4. Agent, man and disease

Correct answer: 2. Agent, host and environment

Explanation: Ans (b) Agent, host and environmentRef : K. Park 23rd ed. / 33-34, Park 19th/ 30A broad concept of disease causation that synthesized the basic factors of agent, host and environment (see adjacent figure)This model--agent, host and environment-- has been in use for many years. It helped epidemiologists to focus on different classes of factors, especially with regards to infectious diseases.